True statement about inheritance of an X-linked recessive trait is:
1. 50% of boys of carrier mother are affected
2. 50% of girls of diseased father are carrier
3. Father transmits disease to the son
4. Mother transmits the disease to the daughter

Correct answer: 1. 50% of boys of carrier mother are affected

Explanation: For a X-linked recessive disease: If mother is a carrier: If father is diseased: 50% of boys of carrier mothers are affected All daughters are carriers Mothers transmit defective gene to 50% of the sons (diseased) as well as daughters (carriers) Fathers transmit defective gene to daughters